Metalloprotienases are used in which stage of the amelogenesis:
1. Organising
2. Formative/ Secretory
3. Protective
4. Desmolytic

Correct answer: 2. Formative/ Secretory

Explanation: Enamelysin is a member of the matrix metalloproteinase family, and its mRNA has been cloned from pig, human, cow, and mouse. Enamelysin is secreted into the enamel matrix during the secretory stage through transition stage of enamel development